The independence of renal blood flow from mean systemic arterial pressure is termed:
1. Glomerulo-tubular balance
2. Distal tubule-glomerular feedback
3. Flow dependence of renal oxygen consumption
4. Autoregulation

Correct answer: 4. Autoregulation

Explanation: This is the definition of autoregulation. Such regulation is independent of influences from outside the organ. It involves adjustments in the resistance at the afferent glomerular arteriole. Two processes are apparently involved in this regulation: myogenic control of the afferent arteriole and distal tubule-glomerular feedback.